Enzyme deficient in maple syrup urine disease:
1. Branched chain alpha keto acid decarboxylase
2. Methionine adenosyl transferase
3. Fumarylacetoacetate hydrolase
4. Tyrosine aminotransferase

Correct answer: 1. Branched chain alpha keto acid decarboxylase

Explanation: Ans. A Branched chain alpha keto acid decarboxylase* Maple syrup urine disease is an inherited disorder characterized by the deficiency of branched-chain alpha- keto acid decarboxylase complex.* This enzyme is required for breakdown of specific amino acid in body like valine, isoleucine and leucine.* Due to the enzyme deficiency, these amino acid is not metabolized and hence there is accumulation in cells and body fluids - producing burnt sugar/maple syrup smelling urine.